The hyperosmolarity of the renal meduila is due to increased content of -
1. K+
2. Na +
3. Glucose
4. Na ++

Correct answer: 2. Na +

Explanation: B i.e. Na +